Features of Alzheimer include all Except:
1. More common in females
2. Recent memory loss
3. MMSE useful for diagnosis
4. Medication offer near 100% cure

Correct answer: 4. Medication offer near 100% cure

Explanation: Pharmacological treatments available for dementia are limited to symptomatic relief. To date, with the exception of interventions to reduce the risk of recurrent stroke in vascular dementia, there are no treatments available that can alter the disease course or produce substantial or long-lived improvements in symptomatology. Risk factors for Dementia Old age Alcohol obesity DM/HT/CAD Female Uneducated Saturated fat Screening tools MMSE, Mental test score Severity assessment clinical dementia rating scale, Functional Assessment Staging, Hachinski 's ischemic score (Vascular Dementia) Imaging SPECT, FDG-PET treatment Reference: P.1175 10.3 Dementia (Kaplan & Sadock's Comprehensive Textbook of Psychiatry, 9th Edition)